LMP-1 gene plays a role in oncogenesis induced by:
1. Human T cell leukemia virus type I
2. Hepatitis B virus
3. Epstein-Barr virus
4. Human papilloma virus

Correct answer: 3. Epstein-Barr virus

Explanation: LMP-1 gene plays a role in oncogenesis induced by EBV. LMP-1 signaling leads to up-regulation of antiapoptotic proteins and provide growth signals in latently infected cells.